Clinical features of Zinc deficiency
1. Acrodermatitis erteropathica
2. Poor wound healing
3. Hypogonadism
4. All of the above

Correct answer: 4. All of the above

Explanation: Clinical features of Zinc deficiency

Growth retardation
Anaemia
Diarrhea
Hypogonadism
Poor wound healing
Acrodermatitis enteropathica.